Normal cardiac index in an adult is
1. 5.9 L/min/m2
2. 2.3 L/min/m2
3. 3.2 L/min/m2
4. 4.6 L/min/m2

Correct answer: 3. 3.2 L/min/m2

Explanation: Cardiac index: - Cardiac output per square meter of body surface area. i.e. Cardiac index = Cardiac output/Body surface area Experiments have shown that the cardiac output increases approximately in proportion to the surface area of body. The average human being who weighs 70 kilograms has a body surface area of about 1.7square meters, which means that the normal average cardiac index for adults is about 3 L / min/ M2 of body surface area.